Acute anginal attack can be terminated by:
1. Nitroglycerin
2. Digoxin
3. Lignocaine
4. Verapamil

Correct answer: 1. Nitroglycerin

Explanation: Ans. A: Nitroglycerin Absorption of Nitrates is most rapid and complete through the mucous membrane.For this reason, nitroglycerin is the most commonly administered sublingually. Their mechanism of action is systemic venodilation with concomitant reduction in LV end diastolic volume and pressure, thereby reducing myocardial wall tension and oxygen requirements. Complications are a pulsating feeling in the head, postural dizziness.